AIDS is a disease of the immune system primarily affecting
1. Granulocytes
2. Immunoglobulins
3. Opsonins
4. T Lymphocytes

Correct answer: 4. T Lymphocytes